Cell most sensitive to radiation –
1. Lymphocytes
2. Neutrophils
3. Basophils
4. Platelets

Correct answer: 1. Lymphocytes

Explanation: Blood cells most sensitive to radiation → Lymphocytes
Blood cells least sensitive to radiation → Platelets